A patient with ptosis presents with retraction of ptotic eye lid on chewing. This represents:
1. Marcus gunn Jaw winking syndrome
2. Third nerve misdirection syndrome
3. Abducent palsy
4. Occulomotor palsy

Correct answer: 1. Marcus gunn Jaw winking syndrome

Explanation: Ans. Marcus gunn Jaw winking syndrome